All are the true regarding hypertrophic obstructive cardiomyopathy, EXCEPT:
1. Digitalis is useful
2. Left ventricular outflow obstruction
3. Asymmetrical septal thickness
4. Double apical impulse

Correct answer: 1. Digitalis is useful

Explanation: Ans. is 'a' Digitalis is useful